Amphotericin B (Fungizone) IV is given to a client with aspergillosis, a fungal infection. In order to prevent its side effects, the nurse anticipate administering which of the following prior, except?
1. Hydrocortisone.
2. Ketoconazole.
3. Diphenhydramine.
4. Meperidine.

Correct answer: 2. Ketoconazole.

Explanation: Azole antifungals (eg, ketoconazole) decreases the effectiveness of amphotericin b.

Options A and C: Fever, shaking, chills, flushing, loss of appetite, dizziness, nausea, vomiting, headache, shortness of breath, or fast breathing may occur 1 to 3 hours after the infusion is started. Medications such as acetaminophen, diphenhydramine, corticosteroids such as hydrocortisone) may be necessary to prevent these side effects.
Option D: Meperidine (25 to 50 mg IV) has been shown in some patients to decrease the duration of shaking chills and fever that may accompany the infusion of amphotericin B.